Soiling index is measure for ?
1. Air pollution
2. Water pollution
3. Faecal contamination
4. Milk contamination

Correct answer: 1. Air pollution

Explanation: Ans. is 'a' i.e., Air pollution Monitoring of air pollution Monitoring of air pollution is done by : - Sulphur dioxide. Gritt and dust measurement. Co-efficient of haze. Air pollution index. Smoke or soiling index